Which of the following agent does not increase the sensitivity of Tc- pertechnate scan?
1. Glucagon
2. Metoclopramide
3. Cimetidine
4. Pentagastrin

Correct answer: 2. Metoclopramide

Explanation: Pentagastrin, H2 blockers and glucagon- enhance detection of ectopic gastric mucosa in Meckel's diverticulum by Tc-pertechnate scan. Glucagon- relaxes the smooth muscles of GIT and decreases peristalsis. Pentagastrin- potent stimulator of gastric secretions, increases uptake and secretion of pertechnetate by the gastric mucosa and stimulates gastrointestinal motility. Histamine H2 blockers (Cimetidine) block secretion from the cells and increase gastric mucosa uptake